Function of superior oblique muscle is:
1. Intorsion, adduction and depression
2. Intorsion, abduction and elevation
3. Intorsion, abduction and depression
4. Extorsion, abduction and depression

Correct answer: 3. Intorsion, abduction and depression

Explanation: The primary action of the superior oblique muscle is intorsion (internal rotation), the secondary action is depression (primarily in the adducted position) and the tertiary action is abduction.